Which structure(s) passes behind the inguinal ligament:
1. Femoral branch of genitofemoral nerve
2. Femoral vein
3. Psoas major
4. All

Correct answer: 4. All

Explanation: . Femoral branch of genitofemoral nerve; B i.e. Femoral vein ; C i.e. Psoas major Ref: Gray's anatomy text book of anatomy BD chaurasia 21st Ed.